The following statements regarding insulin resistance in diabetic patients are true except:
1. It is more common with huminsulin
2. It may occur in the presence of infections
3. It may be due to antibodies to insulin
4. Use of glucocorticoids may be useful in severe cases

Correct answer: 1. It is more common with huminsulin

Explanation: Insulin resistance in diabetic patients has been deﬁned as insulin requirement of more than 2 U/kg/day for control of hyperglycemia or prevention of ketosis for more than 3 days in the absence of any complications. Stressful conditions (when there is excess of glucocorticoids and other hyperglycemic hormones) like trauma, surgery, and infections can oppose insulin action and  produce short-term insulin resistance. In few patients, it may be due to development of antibodies of the IgG type to minor contaminants or to some components (e.g. Zinc, protamine, etc.,) added to insulin, hence it is less commonly seen with purer preparations of insulin or with human insulin  (huminsulin). 
In case the resistance persists, a short-term course with prednisolone (immunosuppressant) may bring down the insulin requirement.